Mc Naughten's rule :
1. Section 84
2. Section 85
3. Section 86
4. Section 87

Correct answer: 1. Section 84

Explanation: A i.e. Section 84